If median nerve is injured at the wrist then loss of function of all of the following will take place except?
1. Lumbrical muscles to the Index finger.
2. Lumbrical muscles to the middle finger.
3. Muscles of the thenar eminence
4. Adductor pollicis

Correct answer: 4. Adductor pollicis

Explanation: Motor nerve supply of Median nerve in the hand: Thenar muscles which include Flexor pollicis brevis Opponens pollicis Abductor pollicis